Patient with blood group O receive plasma from
1. Group A only
2. Group B only
3. Group AB only
4. From Group A,B, AB

Correct answer: 4. From Group A,B, AB

Explanation: Persons with a given antigen do not make antibodies against their own antigen, but will against the other antigens in that group. For example, if a person has type A blood, he (or she) will make antibodies against the B antigen, but not against the A antigen. That means that if this person is given either type B red blood cells or type AB red blood cells, his or her antibodies will attack and destroy the foreign red cells possessing the B antigen, causing a transfusion reaction. Similarly, a person having the RhD antigen will not make antibodies against RhD antigen, but the RhD negative person will make antibodies against blood with RhD positive red cells. Recipient Blood Type Matching Donor Blood Type A+ A+, A-, O+, O- A- A-, O- B+ B+, B-, O+, O- B- B-, O- AB+ Compatible with all blood types AB- AB-, A-, B-, O- O+ O+, O- O- O- Antibodies in the plasma of donors with different blood types cause a reverse situation. For example, since a person with Type AB blood makes no antibodies against Type A or Type B cells, his or her plasma can be given to a person with Type A, Type B, Type AB, or Type O blood